The drug which is contraindicated in haemophilia is
1. Aspirin
2. Penicillinin
3. Amino epsilon caproic acid
4. Diphenyl hydantoin

Correct answer: 1. Aspirin